A female has hypopigmented lesion of centre of forehead. Drug responsible is ?
1. Hydroquinone
2. Ether metabolite of hydroquinone
3. Para tertiary butyl catechol
4. Para tertiary butylphenol

Correct answer: 4. Para tertiary butylphenol

Explanation: Paratertiary butyl phenol Hypopigmented lesions on the centre of the forehead suggests chemical leucoderma with paratertiary butyl phenol. Chemical leucoderma means an acquired vitiligo like hypomelanosis induced by repeated exposure to specific chemical compounds. Paratertiary butyl phenol is used in concentration of 80% in the adhesives of sticker bindi & is known to cause contact depigmentation. Other uses of paratertiary butyl phenol Rubber (cause contact dermatitis in shoe wearers) Phenolic germicides Lipsticks Also know Other compounds associated with chemical leucoderma Paratertiary butyl catechol Present in certain hair colours Hydroquinone It is a component of bleaching creams used for lightening the skin in states of hyperpigmentation like melasma. Its prolonged use causes exogenous ochronosis. Monobenzyl ether of hydroquinone Used in rubber. It is also called agerite alba. Causes contact dermatitis in those who wear rubber gloves. Occupational causes of leucoderma Bindi and footwear Paratertiary butyl phenol Acid cured gloves - Monobenzyl ether of hydroquinone Rubber Paratertiary butyl phenol Paratertiary octyl phenol Paratertiary butyl phenol formaldehyde Hair colors rinse Para-phenylenediamine Phenolic detergent Paratertiary butyl phenol Paratertiary amyl phenol Most potent agent causing chemical leucoderma is monobenzyl ether of hydroquinone.